Closed bite is seen in which type of malocclusion?
1. Class I
2. Class II div I
3. Class II div 2
4. Class III

Correct answer: 3. Class II div 2

Explanation: The term ‘closed bite’ or ‘deep bite’ describes a condition of excessive overbite, where the vertical measurement between the maxillary and mandibular incisal margins is excessive when the mandible is brought into habitual or centric occlusion. It is the main finding of Class II div 2. 
Key Concept:
Deep bite may present in any type of malocclusion, but in class II div 2, deep bite is pathognomonic.